Most common malocclusion found in people is:
1. Class I with incisor crowding
2. Class II division 1
3. Class II division 2
4. Class III

Correct answer: 1. Class I with incisor crowding

Explanation: Class I Malocclusion 
A large sampling of our population would show that a majority of the malocclusions are Angle’s Class I malocclusion.